A middle aged male body was found hanging from the ceiling. On external examination, engorgement of penis & Glove and stocking distribution hypostasis noted. Which is true about the above mentioned signs?
1. Suggestive of sexual asphyxia
2. Suggestive of death due to hanging
3. Suggestive of death due to strangulation and post-mortem hanging
4. None of the above

Correct answer: 4. None of the above

Explanation: In this case, the presence of glove and stocking distribution & engorgement of penis is due to the hypostasis. Hypostasis is dependent on the position of body & non-specific in hanging. Purple colored postmortem staining in the lower limbs and lower regions of upper limbs (hands/ forearms)--glove and stocking PM staining. In males, there may be penile turgidity and involuntary discharge of semen. In both sexes, there may be an involuntary discharge of fecal matter and urine. All the mentioned signs suggest vertical suspension (position) of the body. Not death due to hanging (Antemortem Hanging).